The clinical features of mania include:
1. Anhedonia
2. Elated mood
3. Avolition
4. All

Correct answer: 2. Elated mood

Explanation: B. i.e. Elated mood;Anhedonia is loss of interest in, and withdrawal from, all regular and pleasurable activities, often associated with depressionQ. It is also included in negative symptoms of schizophrenia.Crow & Andreasen negative symptoms of schizophrenia are - affective flatening, alogia, avolition (apathy), anhedoniaQ, attention defect (inattentiveness) Mn - "5A". The positive symptoms are hallucinations, delusions, bizarre behaviour and positive formal thought disorder (derailment, tangentiality, incoherence, illogicality, circumstantiality, pressure of speech, distractible speech of clanging).